Thymoma commonly presents with -
1. Myasthenia gravis
2. Renal failure
3. Hepatic failure
4. Testicular fiminization

Correct answer: 1. Myasthenia gravis